Pelvic examination is not done in -
1. Placenta previa
2. Contracted pelvis
3. H. mole
4. Ectopic pregnancy

Correct answer: 1. Placenta previa

Explanation: Ans. is 'a' Placenta previa .Vaginal examination is not done in placenta previa as it can provoke further separation of placenta with torrential bleeding and may be fatal.It should only be done prior to termination of pregnancy in the operation theatre under anaesthesia keeping everything ready for caesarean section.